Which of the following methods of treating eclampsia has the LEAST effect on neonates
1. Lytic cocktail regime
2. MgSO4 regime
3. Diazepam therapy
4. Phenobarbitone therapy

Correct answer: 2. MgSO4 regime

Explanation: Magnesium sulfate administered parenterally is an effective anticonvulsant that avoids producing central nervous system depression in either the mother or the infant. Magnesium is anticonvulsant and neuroprotective. Some proposed mechanisms of action against convulsions include: (1) reduced presynaptic release of the neurotransmitter glutamate, (2) blockade of glutamatergic N-methyl-d-aspaate (NMDA) receptors, (3) potentiation of adenosine action, (4) improved calcium buffering by mitochondria, and (5) blockage of calcium entry voltage-gated channels Observational studies have suggested a protective effect of magnesium against the development of cerebral palsy in very low-bihweight infants MgSO4 regime used in treating eclampsia has least effect on neonates. Neonatal osteopenia and Hypocalcemia are the side effects seen on the neonates with MgSO4